Eruption of Mandibular Canine occur at
1. At birth
2. 9-10 years
3. 11-12 years
4. 8-9 years

Correct answer: 2. 9-10 years